Carbon dioxide retention is seen in all, except
1. Carbon monoxide poisoning
2. Respiratory failure
3. Ventilator failure
4. Pulmonary edema

Correct answer: 1. Carbon monoxide poisoning

Explanation: Symptoms of carbon monoxide poisoning is as same as the case of hypoxia. Respiratory failure leads to alveolar hypoventilation leads to retention of CO2 and reduced lung compliance (Alveolar edema) also leads to CO2 retention.